Red velvety appearance of gastric mucosa is seen in poisoning with:
1. Abrus precatorius
2. Lead
3. Arsenic
4. Copper

Correct answer: 3. Arsenic

Explanation: C i.e. Arsenic Red velvety mucosa of stomachQ is typically seen in arsenic poisoning